A patient of head injury, has no relatives and requires urgent cranial decompression, doctor should:
1. Operate without formal consent
2. Take police consent
3. Wait for relatives to take consent
4. Take magistrate consent

Correct answer: 1. Operate without formal consent

Explanation: Operate without formal consent is necessary in this case, delay will lead to death of the patient. Ref: Parikh's Textbook of Medical Jurisprudence Forensic Medicine and Toxicology, 5th Edition, Page 569 and 6th Edition, Page 1.37